Goal of National tuberculosis control programme is –
1. To eradicate TB
2. To decrease the transmission of TB
3. To treat all sputum +ve patients
4. To decrease the incidence of TB to such a low level that is no longer a major public health problem

Correct answer: 4. To decrease the incidence of TB to such a low level that is no longer a major public health problem

Explanation: National Tuberculosis Programme 
National Tuberculosis programme (NTP) has been in operation since 1962. Its objectives were :
a) Long term objectives - to reduce tuberculosis in the community to that level when it ceases to be a public health problem i.e.,
i) One case infects less than one new person annually.
ii) The prevalence of infection in the age group below 14 years is brought down to less than 1 percent.
b) Operational or short term objectives : -

To detect maximum number of TB cases among the outpatients attending any health institution with symptoms suggestive of tuberculosis and treat them effectively.
To vaccinate newborns and infants with BCG.
To undertake the above objectives in an integrated manner through all the existing health institutions in the country.